Post exposure prophylaxis is applicable in all except:
1. HIV
2. Japanese encephalitis
3. Varicella zoster
4. Swine influenza

Correct answer: 2. Japanese encephalitis

Explanation: Ans. B. Japanese encephalitisHIV - Tenofovir + Lamivudine + Efavirenz; Varicella zoster - Acyclovir or Oka vaccine; Swine influenza - Oseltamivir or quadrivalent vaccine.